In decorticate animal which reflex is lost?
1. Hopping and placing reflex
2. Tonic neck reflex
3. Tonic labyrinthine reflex
4. Stretch reflex

Correct answer: 1. Hopping and placing reflex

Explanation: Ans. is 'a' i.e., Hoping and placing reflex o First read the integrating centers of various postural reflexes.Postural reflexIntegrating centerMuscle toneSpinal cordPositive supporting reactionSpinal cordCrossed extensor reflexesSpinal cordTonic labyrinthine reflexesMedulla oblongataTonic neck reflexesMedulla oblongataRighting reflexesMidbrainLong-loop stretch reflexesCerebral cortexHopping and placing reactionsCerebral cortexo Hopping and placing reaction has its integrating center in cerebral Cortex. Therefore, it will be lost after decortication (removal of cerebral cortex)o Other three reflex have their integrating center below cerebral Cortex.